Visual analogue scale (VAS) most widely used to measure –
1. Sleep
2. Sedation
3. Pain intensity
4. Depth of anaesthesia

Correct answer: 3. Pain intensity

Explanation: Scales to quantify the pain :- Numerical rating scale, verbal rating scale, faces pain scale, visual analogue scale, McGill pain questionnaire, CHEOPS (in children).